Not a carcinogen for bladder cancer?
1. Benzidine
2. Isopropyl alcohol
3. Acrolein
4. Phenacetin

Correct answer: 2. Isopropyl alcohol

Explanation: Ans. is 'b' i.e., Isopropyl alcohol Risk factors for transitional cell carcinoma (TCC) of bladder ? Smoking -4 Major etiological factor. Occupational exposure to chemicals - Nephthylamine benzidine, aniline dyes, acrolein. Schistosoma haematobium (Bilharziasis)- It is a risk factor for both TCC & SCC. Drugs --> Phenacetin Cyclophosphamide therapy Pelvic irradiations